Left testicular vein drains into?
1. Left renal vein
2. Inferior vena cava
3. Common iliac vei
4. Internal iliac vein

Correct answer: 1. Left renal vein

Explanation: ANSWER: (A) Left renal veinREF: Gray's anatomy 39th ed p.1307Repeat from June 2011Repeat (**)"The right testicular vein opens into the inferior vena cava at an acute angle just inferior to the level of the renal veins, and the left testicular vein opens into the left renal vein at a right angle"